Index case refer to:-
1. First case of disease in community
2. All cases that occurs after primary case
3. First case which comes into notice of investigator and usually it is secondary case
4. None of above

Correct answer: 3. First case which comes into notice of investigator and usually it is secondary case

Explanation: First case of a communicable disease introduced into the population unit, being studied Primary case First case to come to attention of investigator Index case Developing from contact with primary case Secondary case An individual who has signs and symptoms connected to the suspected pathogens Suspect case